Albers schonberg disease is also known as -
1. Osteoprosis
2. Osteopetrosis
3. OI
4. Paget's disease

Correct answer: 2. Osteopetrosis

Explanation: Ans. is 'b' i.e., Osteopetrosis o Osteopetrosis is also known as Marble bone disease or Albers-Schonberg disease.o Paget's disease is known as Osteitis deformans,o Osteogenesis imperfecta is known as Brittle bone disease,o Osteoporosis is known as Fragile bone disease.